Which of the following is true about Harlequin skin color change?
1. The skin of entire body is typically reddish
2. Needs immediate hospitalisation
3. A Complication of Epidermolysis bullosa
4. Probably reflects an imbalance in the autonomic vascular regulatory mechanism

Correct answer: 4. Probably reflects an imbalance in the autonomic vascular regulatory mechanism

Explanation: Harlequin color change: reflects an imbalance in the autonomic vascular regulatory mechanism. When the infant is placed on the side, the body is bisected longitudinally into a pale upper half and a deep red dependent half. Need no treatment NOTE: Do not confuse it with Harlequin ichthyosis. Neonate is covered with plates of thick skin that crack and split apart. The thick plates can pull at and distort facial features and can restrict breathing and eating. Mutations in the ABCA12 gene.